Caisson's disease is
1. Gas embolism
2. Fat embolism
3. Amniotic fluid embolism
4. Tumor embolism

Correct answer: 1. Gas embolism

Explanation: Decompression sickness (DCS; also known as divers' disease, the bends, aerobullosis, or caisson disease) describes a condition arising from dissolved gases coming out of solution into bubbles inside the body on depressurisation Ref: guyton and hall textbook of medical physiology 12 edition page number:375,376,377